True regarding breast carcinoma is:
1. Occurs most commonly in upper inner quadrant
2. Late menarche and early menopause predisposes for breast malignancy
3. Commoner in nulliparous women
4. Unrelated with the family history of breast cancer

Correct answer: 3. Commoner in nulliparous women

Explanation: Ans. C: Commoner in nulliparous women Breast carcinoma are found more commonly in upper-outer quadrant